The narrowest part of the ureter is at the
1. Uretero-pelvic junction
2. Iliac vessel crossing
3. Pelvic ureter
4. Uretero-vesical junction

Correct answer: 4. Uretero-vesical junction